True about prions is -
1. Encoded by viral genome
2. Associated with misfolding of protein
3. Non infectious
4. Immunogenic

Correct answer: 2. Associated with misfolding of protein

Explanation: prion is due to mis folding of ptotiens leads to proliferation of abnormal prion protein REF:ANATHANARAYANAN MICROBIOLOGY NINTH EDITION PAGE.557